Which of the following diuretic should not be given along with aminoglycosides?
1. Chlorthiazide
2. Flurosemide
3. Dorzolamide
4. Canrenone

Correct answer: 2. Flurosemide

Explanation: Flurosemide is a loop diuretic which can lead to ototoxicity and hence contraindicated along with aminoglycosides.